The middle cardiac vein is located at the:
1. Anterior interventricular sulcus
2. Posterior interventricular sulcus
3. Posterior AV groove
4. Anterior AV groove

Correct answer: 2. Posterior interventricular sulcus

Explanation: B i.e. Posterior interventricular sulcus vein & posterior interventricular br. of right coronary artery is located in poster inter ventricular sulcus Q